The burrow in scabies is in
1. S. germinatum
2. S. corneum
3. Maplhigian layer
4. None of the above

Correct answer: 2. S. corneum

Explanation: Burrows is the classical lesions in scabies. They lie in the stratum corneum but are inclined downwards and not confined to the stratum corneum Copulation occurs in the burrows .Scabies Burrows Another hallmark of scabies is the appearance of track-like burrows in the skin. These raised lines are usually grayish-white or skin-colored. They are created when female mites tunnel just under the surface of the skin. After creating a burrow, each female lays 10 to 25 eggs inside Ref: Harrison 20th edition pg 1276